Lymphoplasmacytoid lymphomas may be associated with
1. IgG
2. IgM
3. IgA
4. IgE

Correct answer: 2. IgM

Explanation: Ans. (b) IgM(Ref: Robbins 9th/pg 598-602)Lymphoplasmacytic cell proliferation in marrow (Lymphoplasmacytic lymphoma) with secretion of IgM